Acute Osteomylitis in children most commonly affects-
1. Metaphysis
2. Diaphysis
3. Epiphysis
4. Physis

Correct answer: 1. Metaphysis

Explanation: Ans. is 'a' i.e., Metaphysis Metaphysis is most commonly involved in acute osteomyelitis as-o Long loop vessels are present leading to easy bacterial seeding o Excessive bone turnover in this regiono It has thin cortexo It has relatively fewer phagocytic cells